Which is true about indirect inguinal hernia -
1. It travels through both superficial and deep ingunal ring
2. It travels through deep ingunal ring only
3. It travels through superficial inguinal ring only
4. It occurs through Hesselbach's triangle

Correct answer: 1. It travels through both superficial and deep ingunal ring

Explanation: Ans. is 'a' i.e., It travels through both superficial and deep ingunal ring Important points about Indirect Inguinal herniao In Indirect inguinal hernia the contents of the abdomen enter the deep inguinal ring and traverse the whole length of the inguinal canal to come out through the superficial inguinal ring.o It is the most common of all forms of hernia.o It is most common in the young (cf. a direct hernia is most common in the old)o More common in males (~20 times)o It is more common on the right sideo It is bilateral in 12% of cases.o Indirect inguinal hernia usually occurs when there is a partially or completely patent processus vaginalis (although multiple other factors are responsible for formation of indirect inguinal hernia, patent processus vaginalis seems to be the prime factor)Surgery is the treatment of choice